Which of the following antihypertensives is not given in pregnancy(REPEAT)
1. Enalapril
2. Alphamethyldopa
3. Labetalol
4. Nifedipine

Correct answer: 1. Enalapril

Explanation: Ref - GOODMAN and GILMAN12/e p736 ACE inhibitors like enalapril are contra indicated in pregnancy. This are teratogenic drugs . Other drugs given in ghe option are safe in pregnancy.